The suckling reflex:
1. Has afferent hormonal and efferent neuronal components
2. Increases placental lactogen secretion
3. Increases the release of dopamine from the arcuate nucleus
4. Triggers the release of oxytocin by stimulating the supraoptic nuclei

Correct answer: 4. Triggers the release of oxytocin by stimulating the supraoptic nuclei

Explanation: Ans. D. Triggers the release of oxytocin by stimulating the supraoptic nucleiSuckling involves hormonal and neuronal components, but the hormonal component is efferent and the neuronal component is afferent. When the baby suckles, neural signals from the nipple travel via nerves to the spinal cord and up to the brain (afferent component), which triggers the release of oxytocin from the supraoptic nuclei (efferent component). Oxytocin enters the circulation, enters the breasts, and causes contraction of the myoepithelial cells. Placental lactogen is no longer present after parturition; it is a placental hormone. Dopamine release is decreased by suckling, and as a result, PRL secretion is increased.